Gram postive cocci are -
1. Staphylococci
2. Streptococcus
3. Pneumococcus
4. All of the above

Correct answer: 4. All of the above

Explanation: Ans. is 'd' i.e., All of the above